Protein deposited in Alzheimer's disease is?
1. Tau protein
2. Alpha synuclein protein
3. Huntington protein
4. Protein 14.3.3.

Correct answer: 1. Tau protein

Explanation: Ans. (a) Tau proteinRef: Harrison 19th ed. / 172t, 175* Tau proteins are proteins that stabilize microtubules. They are abundant in neurons of the central nervous system and are less common elsewhere, but are also expressed at very low levels in CNS astrocytes and oligodendrocytes.* Pathologies and dementias of the nervous system such as Alzheimer's disease can result when tau proteins become defective and no longer stabilize microtubules properly. Alpha synuclein protein is seen in parkinsonism.* Huntington protein is related to Huntington disease related to chromosome 4. Protein 14.3.3 is related to prion disease like variant Creutzfeldt Jakob disease.